Investigation of choice for spinal TB
1. X-ray
2. CT Scan
3. MRI
4. PET Scan

Correct answer: 3. MRI

Explanation: Answer- C. MRIBest view for Cl-C2 vertebrae & junction - open mouth odontoid (pegs) view.Investigation of choice for spinal tuberculosis - MRIInvestigation of choice for traumatic paraplagia - MRI